Total alveolar ventilation volume (in 1:./min) is:
1. 1.5
2. 3.5
3. 4.2
4. 5

Correct answer: 3. 4.2

Explanation: C i.e. 4.2